Swiping of oral cavity not to done in foreign body ingestion in children -
1. Oral cavity small, inability to clear
2. Leads to in advertently pushing of foreign body deep in respiratory system
3. Should be done
4. None of above

Correct answer: 2. Leads to in advertently pushing of foreign body deep in respiratory system

Explanation: Ans. is 'b' i.e., Leads to in advertently pushing of foreign body deep in respiratory system